A 2 old boy with fever and rhinorrhea developed a maculopapular rash, to the face, the neck, chest, arms in that order. Diagnosis includes
1. Measles
2. Meningococcal septicaemia
3. Haemophilia
4. Chicken pox

Correct answer: 1. Measles

Explanation: The disease is most common in preschool children; infants are protected by transplacental antibodies, which generally decay by 9 months The prodromal phase is characterized by fever, rhinorrhea, conjunctiva! congestion and a dry hacking cough. Koplik spots, considered as pathognomonic of measles, appear opposite the lower second molars on the buccal mucosa on the second or third day of the illness as grey or white lesions resembling grains of sand with surrounding erythema. The rash, usually appears on the fourth day with a rise in fever, appears as faint reddish macules behind the ears, along the hairline and on the posterior aspects of the cheeks. The rash rapidly becomes maculopapular and spreads to the face, the neck, chest, arms, trunk, thighs and legs in that order over the next 2-3 days. It then starts fading in the same order that it appeared and leaves behind branny desquamation and brownish discolouration, which fade over 10 days Refer : O.P Ghai 8e pg:213